A 70 year old male patient presented with history of chest pain and was diagnosed to have coronary artery disease. During routine evaluation, an ultrasound of the abdomen showed presence of gallbladder stones. There was no past history of biliary colic or jaundice. What is the best treatment advice for such a patient for his gallbladder stones?
1. Open cholecystectomy
2. Laparoscopic cholecystectomy
3. No surgery for gallbladder stones
4. ERCP and removal of gallbladder stones

Correct answer: 3. No surgery for gallbladder stones

Explanation: The patient in question is a 70 years old male, with no evidence of symptomatic disease or prior history of complication. Gall stones were accidentally detected on a routine ultrasound examination of the abdomen. So no active intervention is indicated in such a patient for management of gall stones. Prophylactic cholecystectomy is indicated in children with hemolytic anemia and gallstones and patients with large (>2.5) stones. It is not recommended for diabetics, cirrhotics or patients undergoing solid organ transplantation. Ref: General Surgery: Principles and International Practice By Kirby I. Bland, Volume 2, Pages 1035-8; Schwartz's Principles of Surgery, 9th Edition, Chapter 32.